Endothelium derived relaxation factor is supposed to be: (Repeat)
1. Nitric oxide
2. Angiotensin
3. Serotonin
4. Norepinephrine

Correct answer: 1. Nitric oxide

Explanation: Ans: A (Nitric oxide) Ref: Pal GK. Synaptic transmission in CNS: ami Neurotransmitters. In: Textbook of medical physiology. 2nd ed. Ahuja publishing house. 2011; 100: 794.Explanation:Nitric oxide is also called as EDRF (Endothelial derived relaxation factor)Formed from arginine by NO synthase which needs NADPHIt mediates the action of many other vasodilators - Histamine, Ach, hradykinin. VIP, substance P